Elastic cartilage is seen
1. Pinnae
2. Articular Ends of Bones
3. Pubic Symphysis
4. All

Correct answer: 1. Pinnae